Corticosteriod which need least systemic monitoring is:
1. Prednisolone
2. Budesonide
3. Hydrocortisone
4. Dexamethasone

Correct answer: 2. Budesonide

Explanation: Budesonide